Which of the following best estimates the amount of radiation delivered to an organ in the radiation field:
1. Absorbed dose
2. Equivalent dose
3. Effective dose
4. Exposure dose

Correct answer: 1. Absorbed dose

Explanation: A i.e. Absorbed dose Amount of radiation delivered to an organ is defined as absorbed doseQ. Whereas equivalent dose is a measure of biological damage caused by the absorbed dose depending on the relative effectiveness of type of radiation; and effective dose is a measure to assess the risk of carcinogenesis & genetic defect by calculating an imaginary total body dose depending on equivalent dose for each organ and relative sensitivity of each organ to radation.